Weight of a newborn quadruples at -
1. 6 months
2. 1 year
3. 2 years
4. 4 years

Correct answer: 3. 2 years

Explanation: Ans. is 'c' i.e., 2 years o The average birth weight of neonates is about 3 Kg.o During first few days after birth, the newborn loses extracellular fluid equivalent to about 10% of the body weight. Most full term infants regain their birth weight by the age of 10 dayso Subsequently, they gain weight at a rate of approximately 25 to 30 gm per day for the first 3 months of life. Thereafter they gain about 400 gm of weight every month for the remaining part of first year.AgeWeightBirth3 Kg5 months6 Kg (2 x birth weight)1 year9 Kg (3 x birth weight)2 years12 kg (4 x birth weight)3 years15 kg (5 x birth weight)5 years18 kg (6 x birth weight)7 years21 kg (7 x birth weight)10 years30 kg (10 x birth weight)